Most common clinical feature of toxoplasmosis in an immunocompetant adult?
1. Encephalitis
2. Lymphladenopathy
3. Chorioretinitis
4. Glaucoma

Correct answer: 2. Lymphladenopathy

Explanation: Ans. is 'b' i.e., Lymphadenopathy Clinical manifestation of toxoplasmosis 1.Adults a) lmmunocompetant host Asymptomic in 90% of patients. M.C. clinical featur is cervical lymphadenopathy. Other less common manifestations are pneumonia, myocarditis, encephalitis. b) Immunocompromised host M.C. signs and symptoms are principally within CNS --> Encephalopathy, Men ingoencephalitis. 2. Children a) Congenital May present with hydrocephalus, microcephaly intellectual disability, deafness, blindness, epilepsy. Intracerebral calcification may occur. b) Acquired Mostly asymptomatic C/Fs are chorioretinitis (most common), cataract, glaucoma.